Which test is performed to detect reversible myocardial ischemia
1. Coronary angiography
2. MUGAscan
3. Thallium scan
4. Resting echocardiography

Correct answer: 3. Thallium scan

Explanation: thallium scan is the test which is performed to detect myocardial ischemia